Which of the following statement(s) is/are true concerning topical antimicrobials in common use today?
1. Of the common topical antimicrobials, only mafenide acetate is painful upon application
2. The use of 0.5% silver nitrate is associated with trans-eschar leeching of sodium and potassium from the wound
3. Silver sulfadiazine, mafenide acetate, and 0.5% silver nitrate all have a broad spectrum activity, however, only silver nitrate has anti-fungal activity
4. All of the above

Correct answer: 4. All of the above

Explanation: THREE COMMON TOPICAL MEDICATIONS USED Silver sulfadiazine Mafenide acetate 0.5% Silver nitrate Painless on application Fair to poor eschar penetration No metabolic side effects Broad antibacterial spectrum Painful on application Excellent eschar penetration Carbonic anhydrase inhibitor Broad-spectrum antibacterial Painless on application Poor eschar penetration Broad-spectrum antibacterial and antifungal